Movement across socioeconomic levels is termed as:
1. Social Equality
2. Social Upliftment
3. Social Mobility
4. Social Insurance

Correct answer: 3. Social Mobility

Explanation: Social Mobility refers to the movement of people or families across the social ladder. This movement emphasizes whether people change their caste or religion. The restriction of movement is based on achieving or gaining wealth (i.e. socioeconomic levels). While Social Equality, Social Upliftment and Social Insurance have no established effect on movement across socioeconomic levels. Ref: Park Textbook of Preventive and Social Medicine, 19th Edition, Pages 552-553; The Contexts of Social Mobility : Ideology And Theory By Anselm L. Strauss, Joseph R. Gusfield, Pages 141-148.